Mother to child transmission of HIV -
1. 25%
2. 50%
3. 60%
4. 75%

Correct answer: 1. 25%

Explanation: HIV may pass from infected mother to foetus through placenta or to her infant during delivery. In absence of any intervention rate of this vary from 20-25%. Reference; Park's Textbook of preventive and social medicine, 24th edition.Pg no. 364